Which one of the following is NOT a characteristic or tuberous sclerosis
1. Seizures
2. Adenoma sebaceum
3. X-linked recessive inheritance
4. Shagreen patches

Correct answer: 3. X-linked recessive inheritance

Explanation: Tuberous sclerosis is an autosomal dominant condition. The classic traid of clinical features comprises learning disability, epilepsy and skin lesions. Skin lesions include ash leaf macules, adenoma sebaceum, periungual and subungual fibromas and shagreen patches. Reference Harrison20th edition pg 2456